A patient with nephrotic syndrome on longstanding corticosteroid therapy may develop all the following except:
1. Hyperglycemia
2. Hypertrophy of muscle
3. Neuropsychiatric symptoms
4. Suppression of the pituitary adrenal axis

Correct answer: 2. Hypertrophy of muscle

Explanation: Answer is B (Hypertrophy of muscle):